All of the following is true about BLS in a child except:
1. Compresions: ventilation ratio is 15:2 when more than one rescuer is present in an infant
2. Brachial pulse check in an infant
3. Most common cause of cardiac arrest is ventricular fibrillation
4. Adrenaline is the drug of choice

Correct answer: 3. Most common cause of cardiac arrest is ventricular fibrillation

Explanation: In children, the more common cause of cardiac arrest isasphyxiarather than ventricular. Even though asphyxia is the more common cause,pediatric resuscitation starts with chest compressions rather than rescue breaths as in adultsfor simplicity in training. This is because the cycle of30 chest compressionsbefore rescue breathing delays ventilation for only15 to 20 seconds. During cardiopulmonary resuscitation of infants and children, the ratio of chest compression to rescue breaths is 30:2 for a single rescuer and 15:2 if 2 or more rescuers are present. The initial energy to be set for defibrillation is at 2 J/kg for both monophasic and biphasic waveforms.It can be increased to 4 J/kg if a second shock is to be delivered. In adults, the ratio is 30:2irrespective of the number of rescuers. In infants and children, the depth of compression should be at least one-third of the anteroposterior diameter of the chest which is about 5 cm in children and 4 cm in infants. The compression rate should be 100-120/ minute. Allow complete chest recoil after each compression. Minimize interruptions in compressions (10 seconds or less). Rotate compressor every 2 minutes or earlier if fatigued. Avoid excessive ventilation.